Most common cause of platelet.L in pregnancy :
1. Immune
2. Incidental
3. Idiopathic
4. Benign Gestational

Correct answer: 4. Benign Gestational

Explanation: Ans. is d i.e. Benign Gestational Gestational thrombocytopenia / Benign Gestational Thrombocytopenia It is the most common cause of thrombocytopenia accounting for 80-90% of all cases of thrombocytopenia occuring during pregnancy. Exact cause is not known (may be due to hemodilution and increased platelet consumption.) Platelet count is rarely <70,000/mm3. Women are asymptomatic and their is no H/O bleeding. Condition is benign and has no risk to mother or infant. The only problem associated with it is - that anaesthesiologists are reluctant to give epidural or spinal anaesthesia if platelet count is < 1lakh/mm3. Treatment with steroids and IgG or platelet transfusion before delivery is sometimes necessary. Other rare causes of thrombocytopenia during pregnnacy : Associated with eclampsia / preclampsia/HELLP syndrome Immune thrombocytopenia Consumptive coagulopathy from placental abruption, severe obstetrical heamorrhage. Inherited thrombocytopenia i.e. Bernard soulier syndrome.